Serum amylase level is raised in A/E
1. Blocked salivary duct
2. Ruptured ectopic
3. Appendicitis
4. Pancreatitis

Correct answer: 3. Appendicitis